Which of the following is a false statement regarding Patellofemoral stress syndrome?
1. Movie sign positive
2. Difficulty in climbing stairs
3. Positive Patellofemoral grinding test
4. Decreased Q angle

Correct answer: 4. Decreased Q angle

Explanation: Increased Q angle in Patellofemoral stress syndrome Patellofemoral stress syndrome/Chondromalacia patellae Anterior knee pain Increases on climibing stairs Increases after standing from prolonged sitting (Movie sign) Young females Vastus medialis obliques weakness. (Lateral structures stronger) Positive Patellofemoral grinding test when the condition is severe. Increased Q angle Genu valgus Rx.: Correct muscle imbalance Complication may develop patellofemoral arthritis.